The main purpose of adding metallic oxides in ceramic is:
1. Colour matching
2. Transparency
3. Opacity
4. None

Correct answer: 1. Colour matching